All of the following are excreted you in cystinuria except:
1. Arginine
2. Leucine
3. ornithine
4. Cystine

Correct answer: 2. Leucine

Explanation: Cystinuria is associated with excretion of cystine, Ornithine, Lysine and Arginine Cystinuria results from an autosomal recessive hereditary defect in the carrier protein that mediate reabsorption of filtered cystine and dibasic aminoacids (ornithine, arginine and lysine) from proximal tubule. Cystinuria: Cystinuria occurs at a frequency of 1 in 7000 individuals. It is the most common genetic error of aminoacid transport. (It is also one of the most common inherited diseases) It is inherited as an autosomal recessive disorder. The defect lies in the carrier protein that mediates reabsorption of filtered cystine and dibasic aminoacids (ornithine, arginine and lysine) from proximal tubule. The disorder is characterized by : Increased urinary excretion of Cysteine, ornithine, Lysine and Arginine (all four amino acids appear in the urine) Formation of cystine kidney stones (Accumulation and precipitation in the urinary tract (cystine is a hexagonal crystal in urine) D-Penicillamine can be used for treatment as it forms complexes with cyteine and enhances its excretion Stone formation can be prevented by alkalinizing the urine and drinking lot of water. At acidic pH solubility of cysteine is low resulting in formation of Cysteine calculi. Ref: Harper 30th edition